Radiological appearance of 'corkscrew oesophagus' is a characteristic finding seen in the condition:
1. Achalasia cardia
2. Diffuse esophageal spasm
3. Carcinoma esophagus
4. Reflux oesophagitis

Correct answer: 2. Diffuse esophageal spasm

Explanation: The lower esophageal sphincter in patients with diffuse esophageal spasm (DES) usually shows a normal resting pressure and relaxation on swallowing. A hypertensive sphincter with poor relaxation may also be present. In patients with advanced disease, the radiographic appearance of tertiary contractions appears helical, and has been termed corkscrew esophagus or pseudodiverticulosis. Patients with segmental or diffuse esophageal spasm can compartmentalize the esophagus and develop an epiphrenic or mid esophageal diverticulum between two areas of high pressure occurring simultaneously. Ref: Jobe B.A., Hunter J.G., Peters J.H. (2010). Chapter 25. Esophagus and Diaphragmatic Hernia. In F.C. Brunicardi, D.K. Andersen, T.R. Billiar, D.L. Dunn, J.G. Hunter, J.B. Matthews, R.E. Pollock (Eds), Schwartz's Principles of Surgery, 9e.